Crescent formation is characteristic of the following glomerular disease -
1. Minimal change disease
2. Rapidly progressive glomerulonephritis
3. Focal and segmental glomerulonephritis
4. Rapidly non progressive glomerulonephritis

Correct answer: 2. Rapidly progressive glomerulonephritis

Explanation: Rapidly progressive glomerulonephritis (RPGN) is characterised by rapid loss of renal function over days to weeks, usually in association with hypertension and oedema. Non-visible haematuria is almost always present with variable amounts of proteinuria, while characteristic red cell casts and dysmorphic red cells may be observed on urine microscopy . Renal biopsy typically shows crescentic lesions , often associated with necrotising lesions within the glomerulus , particularly in small-vessel vasculitides. This pattern of presentation is typical of post-infectious glomerulonephritis, anti-GBM disease and small-vessel vasculitides It can also be observed in SLE and occasionally in IgA and other nephropathies . Ref Harrison20th edition pg 292